Commonest cause of cataract-
1. Hereditary
2. DM
3. Trauma
4. Age related

Correct answer: 4. Age related

Explanation: Most common type of cataract is senile (age related) cataract. Ref: Ophthalmology by Duker's 2nd/e p.420.